Kayser fleisher ring is characteristic of?
1. Hemosiderosis
2. Wilson disease
3. Tyrosinemia
4. Hereditary cataract

Correct answer: 2. Wilson disease

Explanation: KANSWER: (B) Wilson diseaseREF: Khurana 4th ed page 181 & 410, Yanoff 2nd ed page 278"Kayser-Fleischer rings are caused by copper deposits, and are indicative of Wilson's disease, whereas Fleischer rings are caused by iron deposits and are indicative of keratoconus"In Wilson's disease, an autosomal recessive disorder, defective copper metabolism develops as a result of a deficiency of the enzyme ceruloplasmin, A brown corneal ring, at the level of Descemet's membrane (Kayser-Fleischer ring), is characteristic, as is the development of a typical "sunflower" cataract. This is a disc-shaped polychromatic opacity in the pupil zone anteriorly, with petal-like spokes that extend toward the periphery.Kayser-Fleischer ring is a golden brown ring which occurs due to deposition of copper under peripheral parts of the Descemet's membrane of the cornea.